All are seen is tumor lysis syndrome except: (Repeat)
1. Hypercalcemia
2. Hypocalcemia
3. Hyperphosphatemia
4. Hyperkalemia

Correct answer: 1. Hypercalcemia

Explanation: Ans: A (Hypercalcemia) Ref: Harrison's Principles of Internal Medicine, 18th edition, pg 2274Explanation:Refer Medicine 2(H3 question explanationTumor lysis Syndrome ( TLS)Characteristic biochemical changes in Tumor lysis SyndromeHyperuricemiaHyperkalemiaHypocalcemiaHyperphosphatemiaAcidosisAcute renal failure.